Graft used for tympanoplasty:
1. Antral fascia
2. Temporalis fascia
3. Pre-auricular fascia
4. Post-auricular fascia

Correct answer: 2. Temporalis fascia

Explanation: Ans. (b) Temporalis fasciaRef: Dhingra's ENT 6th ed./ 29-30, 400* Tympanoplasty is repairing of tympanic membrane in cases of ruptured tympanic membrane either due to infection or trauma.* Temporalis fascia is used for tympanoplasty. It has very low basal metabolic rate, hence very high rate of survival.